Which of the following is not an endemic mycoses?
1. Histoplasmosis
2. Blastomycosis
3. Cryptococcosis
4. None of the above

Correct answer: 3. Cryptococcosis

Explanation: Ans. is 'c' i.e., Cryptococcosis Endemic Mycoses are caused by dimorphic fungal species that are ubiquitously present in the soil and environment of certain geographic regions. Consequently, infections tends to be an endemic feature of certain parts of the world. The primary culprit agents are Histoplasma capsulatum, Blastomyces dermatitidis, and Coccidioides immitis.